Age group affected by Osteosarcoma
1. Up-to 10 yrs
2. 10 -20 yrs
3. 30-40 yrs
4. Older than 45 yrs

Correct answer: 2. 10 -20 yrs

Explanation: This is predominantly a tumor of childhood or adolescence, occurring most commonly in the 10-25years Refer Maheshwari 6tg/e p 239